'Spade-like' deformity of the cardiac apex on angiography is pathognomonic of:
1. ASD (Atrial septal defect)
2. ARVD (Arrythmogenic right ventricular dysplasia)
3. Hypertrophic cardiomyopathy
4. PTA (persistent truncus arteriosus)

Correct answer: 3. Hypertrophic cardiomyopathy

Explanation: Ace of Spades-like' deformity of the apex demonstrated on Angiography and MRI directed through the long axis of the left ventricle Apical Hypertrophic Cardiomyopathy It consists of marked ventricular wall thickening at the apex resulting in cavity narrowing at the apex with a relatively normal appearance of the mid-ventricle. On a longitudinal view of the left ventricle, this results in an appearance resembling a playing card spade. It can be demonstrated on echocardiography, ventriculography, and cardiac MRI.